Which of the following functions is associated with the oncogenic L `MYC' in lung cancer -
1. Proteine kinase
2. GTP binding protein
3. Nuclear binding poein
4. Growth factor

Correct answer: 3. Nuclear binding poein

Explanation: Ans. is 'c' i.e., Nuclear binding protein MYC is a protein, activities attributed to MYC are - Histone acetylation, Reduced cell adhesion, Increased cell motility, Increased protein synthesis and decreased proteinase activity.